Reciprocal excitation is ?
1. Contraction of antagonist with relaxation of agonist
2. Contraction of agonist with relaxation of antagonist
3. Contraction of both agonist and antagonist
4. Relaxation of both agonist and antagonists

Correct answer: 1. Contraction of antagonist with relaxation of agonist

Explanation: Ans.is'a'i.e.,Contractionof antagonist with relaxation of agonistPrinciples Of medical physiology p.715)Reciprocal inhibition:Seen in Stretch reflex.There is contraction of with relaxation of antagonists.Reciprocal excitation:Seen in golgi tendon reflex (inverse stretch refelx).There is a relaxation of agonists with contraction of antagonists.